Antibodies acting predominantly on the mucosal cells belong to -
1. IgG class
2. IgM class
3. IgE class
4. IgA class

Correct answer: 4. IgA class

Explanation: - IgA is selectivity concentrated in secretions and on mucus surfaces forming an antibody paste and is believed to play an important role in local immunity against respiratory and intestinal pathogens. - inhibits the adherence of micro organisms to the surface of mucosal cells by covering the organisms and thereby preventing their entry into body tissues. Reference : Anathanarayan & paniker's 9th edition, pg no: 97